Lamina papyracea is between -
1. Optic nerve and orbit
2. Maxillary sinus and orbit
3. Ethmoid sinus and orbit
4. Cranial cavity and orbit

Correct answer: 3. Ethmoid sinus and orbit

Explanation: Ans. is 'c' i.e., Ethmoid sinus and orbito The thinnest portion of medial wall of orbit is the lamina papyracea which separates ethmoid sinuses from orbit.o Infection from ethmoidal sinus can easily breach this paper thin bone and affect the orbital contents.